Local anaesthetic with prolonged action
1. Procaine
2. Cocaine
3. Lidocaine
4. Dibucaine

Correct answer: 4. Dibucaine

Explanation: Dibucaine is the longest acting local anaestheticChlorprocaine is the shortest acting local anaestheticDecreasing order of duration: Dibucaine >Bupivacine= Tetracaine = Ropivacaine=Etidocaine > Prilocaine = lignocaine =Mepivacaine = Cocaine >Procaine >Chloprocaine(Refer: stoelting's pharmacology and physiology in anaesthetic practice, 5th edition, pg no.290,304)